Staph aureus causes
1. Erythrasma
2. Chancroid
3. Acne vulgaris
4. Bullous impetigo

Correct answer: 4. Bullous impetigo

Explanation: Impetigo is divided into two types:-


Non-bullous impetigo (Impetigo contagiosum):- Caused by staphylococcus aureus and streptococcus pyogenes.
Bullous impetigo:- Caused by staphylococcus aureus.